Which artery Supplies the deep cerebellar nuclei
1. Anterior inferior cerebellar artery
2. Anterior spinal artery
3. Posterior cerebral artery
4. Superior cerebellar artery

Correct answer: 4. Superior cerebellar artery

Explanation: The superior cerebellar artery supplies the superior surface of the cerebellum and the cerebellar nuclei (dentate nucleus)